The retina is an outgrowth of the
1. Mesencephalon
2. Diencephalon
3. Telencephalon
4. Pons

Correct answer: 2. Diencephalon

Explanation: Ref BDC volume 3,6th edition pg 292This is the thin, delicate inner layer of the eyeball.It is continuous posteriorly with the optic nerve.The outer surface of the retina is attached to the choroid, while the inner surface is in contact with the hyaloid membrane.Opposite the entrance of the optic nerve, there is a circular area called optic disc.The retina diminishes in thickness from behind forwards and is divided into optic, ciliary, and iridial parts.